Daisy head colonies are seen with -
1. Staph. Aureus
2. Corynebacterium diphtheriae
3. Staph. Pyogenes
4. Anthrax

Correct answer: 2. Corynebacterium diphtheriae

Explanation: Ans. is 'b' i.e., Corynebacterium Diphtheriae